26 yr old male presents with painless swelling over umbilicus). What is the most probable diagnosis?
1. Omphalitis
2. Umilical hernia
3. Omphalocele
4. Gastroschisis

Correct answer: 2. Umilical hernia

Explanation: Ans. is 'b' i.e., Umbilical hernia * Painless swelling in the umbilical region, without associated redness swelling or induration is mostly suggestive of umbilical hernia.